Gastro-colic reflex is related to :
1. Mass peristalsis
2. Segmental movement
3. Pendular movement
4. Colonic cases

Correct answer: 1. Mass peristalsis

Explanation: A i.e. Mass persistalsis